Copycat suicide is seen at age of:-
1. Adolescence
2. Child age
3. Adult age
4. Old age

Correct answer: 1. Adolescence

Explanation: A copycat suicide is defined as an emulation of another suicide that the person attempting suicide knows about either from local knowledge or due to accounts or depictions of the original suicide on television and in other media. Usually seen among Adolescence.